Surface hardness of gold foil during condensation
1. Always increases
2. Always decreases
3. Increased followed by a decrease
4. Not correlated

Correct answer: 1. Always increases